Mucormycosis of paranasal sinus is most common in?
1. HIV
2. Diabetes
3. Those on immuno suppressants
4. Post surgical

Correct answer: 2. Diabetes

Explanation: ANSWER: (B) DiabetesREF: Harrison 17th ed p.1261, International Journal of Infectious Diseases Volume 15, Issue 8, Pages e533-e540, August 2011, Dhingra 4th ed chapter 38Though no book mention most common cause but since diabetes Is most common among the mentioned causes, we can take it as answer,MUCORMYCOSIS:Caused by - rhizopus , rhizomucor , cunninghamellaMoulds with non septate hyphaeThe higher prevalence of mucormycosis in India turned out to be statistically significant (p < 0.0001. in comparison with all other countriesPredisposing factorsOrgan transplant recipientsLong term desferroxamine therapyImmunosuppression due to steroids or cytotoxic drugsHematological malignancyDiabeticsChronic renal failureFive forms1. Rhino cerebral (most common site)2. Pulmonary mucormycosis (2n* most common)3. Cutaneous4. Gastrointestinal5. DisseminatedDiagnosis:Microscopy and biopsy show organisms that appears as broad ribbon like usually non septate hyphae which branch at right angles